. All of the following statements regarding pathological inclusions are true except -
1. Howell-jolly bodies occur in splenectomised patients
2. Basophilic stippling is seen in lead intoxication patients
3. Cabot rings occur in iron deficiency anaemia
4. Heinz bodies are seen in thalassemia

Correct answer: 3. Cabot rings occur in iron deficiency anaemia